By the term 'hypochondriasis' is meant -
1. Pathologic pre-occupation with the normality of the physical state & perception of normal bodily phenomena as disease
2. A complete disregard for physical ill being
3. Complete disregard for the feelings of other people
4. None

Correct answer: 1. Pathologic pre-occupation with the normality of the physical state & perception of normal bodily phenomena as disease